A child presents with an expansile swelling on medial side of the nose. Likely diagnosis is -
1. Teratoma
2. Meningcoele
3. Dermoid cyst
4. Lipoma

Correct answer: 2. Meningcoele

Explanation: Ans. is 'b' i.e., Meningocoele Meningocoele presents as a cystic swelling which is expansile, transluscent, compressible and show a positive fluctuation test. Common sites include : 1. Lumbosacral region (Commonest) 2. Occipital region 3. Root of nose